Which of the following stain is used for staining reticulocytes
1. Brilliant cresyl blue
2. Sudan black
3. Warthin starry
4. Hemotoxylin-eosin stain

Correct answer: 1. Brilliant cresyl blue

Explanation: The most common supravital stain is performed on reticulocytes using new methylene blue or brilliant cresyl blue. It makes it possible to see the reticulofilamentous pattern of ribosomes characteristically precipitated in these live immature red blood cells.